A 65 year old woman after total knee implant surgery complains of calf pain and swelling in the leg from last 2 days. Later she
complains of breathlessness and dies suddenly in the ward. Probable cause?
1. Myocardial infarction
2. Pulmonary embolism
3. Stroke
4. ARDS

Correct answer: 2. Pulmonary embolism

Explanation: • PE is the most common preventable cause of death among hospitalizedpatients.PE and DVT occurring after total hip or knee replacement is currently taken as unacceptable, and steps are taken to prevent it by giving subcutaneous fondaparinux.
• For patients who have DVT, the most common history is a cramp in the lower calf that persists for several days and becomes more uncomfortable as time progresses. For patients who have PE, the most common history is unexplained breathlessness.